Which of the following is level III lymph nodes?
1. Central
2. Apical
3. Interpectoral
4. Anterior

Correct answer: 2. Apical

Explanation: Apical also known as subclavicular is level III lymph node.